Which of the following is the treatment of choice for lower ureteric stone-
1. Endoscopic removal
2. Diuretics
3. Drug dissolution
4. Laser

Correct answer: 1. Endoscopic removal